In hemophilia B what is most common cause of death -
1. Hemorrhage
2. HIV, HBV, HCV due to transfusions
3. Transfusion reaction
4. Deep vein thrombosis

Correct answer: 1. Hemorrhage

Explanation: Answer- A. HemorrhageMost common cause of death in hemophilia b Hemonhage,Infectious complications arc also an important cause of death